All the following indicate reversible injury, except
1. Vacuoles destruction
2. Karyorrhexis
3. Fat accumulation
4. Cell wall swelling

Correct answer: 2. Karyorrhexis

Explanation: The two main morphological features of reversible injury are cellular swelling and fatty change. Cellular swelling is the result of the failure of energy-dependent ion pumps leading to inability to maintain fluid and ion homeostasis. Microscopic examination reveals distended and pinched off segments of ER known as hydropic change or vacuolar degeneration. Fatty change is manifested by the appearance of lipid vacuoles in the cytoplasm, often seen in cells participating in fat metabolism (hepatocytes, myocardial cells) Injured cells may also show increased eosinophilic staining. Karyorrhexis: Fragmentation of the pyknotic nucleus. Seen in irreversible injury. Ref: Robbins pathology; 9th edition